A 55-year old woman was found to have Ca cervix, FIGO stage 2-3, locally advanced. What would be the management
1. Surgery plus chemotherapy
2. Radiotherapy plus chemotherapy
3. Chemotherapy
4. Radiotherapy plus HPV vaccine

Correct answer: 2. Radiotherapy plus chemotherapy

Explanation: Ans. b. Radiotherapy plus chemotherapy Radiotherapy was cornerstone of advanced stage CA cervix management. Current evidence indicates that "concurrent chemotherapy" significantly improves overall and disease free survival of women with advanced cervical cancer. Thus most patients with Stage JIB to IVA are best treated with "chemoradiation". Cisplatin containing regimens are associated with best survival rates.